Autophagic vacuoles fuse with ?
1. Golgi complex
2. ER
3. Lysosome
4. Mitocondria

Correct answer: 3. Lysosome

Explanation: Ans. is 'c' i.e., Lysosome